Arrange the following according to good outcome
a - zone of stasis
 b - zone of coagulation
 c - zone of hyperemia
1. a = c > b
2. c > a > b
3. a > c > b
4. a > b > c

Correct answer: 2. c > a > b

Explanation: Zone of hyperemia - vasodilation only - usually heals well.
Zone of stasis - outside burnt area - healing depend on mgt.
Zone of coagulation - area of burnt tissue - necrosed tissue.